A patient with detachment of retina with ph-otopsia with floaters in the eye. Diagnosis is
1. Vitreous haemorrhage
2. Exudative retinal detachment
3. Rhegmetogenous retinal detachment
4. Tractiona retinal detachment

Correct answer: 3. Rhegmetogenous retinal detachment

Explanation: C i.e. Rhegmatogenous Retinal detachment Rhegmatogenous R.D. has photopsia, floaters Q and visual field defect (perceived by the patient as a black curtain). Tractional R.D. is usually asymptomatic (no photopsia & floaters) with slow and progressive loss of visual field. Exudative R.D. has no photopsia, but floaters are present occasionally with sudden and rapid loss of visual field.